Which of the following is true regarding IUGR baby is
1. IVH common
2. Head circumference 3cm more than chest circumference
3. Hypothermia is rare as shivering thermogenesis is good
4. Fatty liver

Correct answer: 2. Head circumference 3cm more than chest circumference

Explanation: Usually head circumference is more than abdomen circumference in intrauterine growth retardation babies Reference: GHAI Essential pediatrics, 8th edition